Patterns of Inter-relationships between persons in a society is -
1. Social structure
2. Social psychology
3. Herd structure
4. Social science

Correct answer: 1. Social structure

Explanation: Social structure refers to the patterns of Inter-relationships between persons in a society Social psychology is concerned with the psychology of individuals living in human society or groups Social sciences is applied to those disciplines which are committed to the scientific examiation of human behaviour Herd structure includes not only the hosts belonging to the herd species but also the presence and distribution of alternative animal host and possible insect vectors as well as those environmental and social factors that favours or inhibit the spread infection from host to host ref ;(page no;671)23rd edition of PARK's textbook of Preventive and Social medicine